Vestibular function is assessed by ?
1. Fistula test
2. Hallpike manaeuver
3. Caloric test
4. All of the above

Correct answer: 4. All of the above

Explanation: Ans. is 'd' i.e., All of the above